Posterior surface of heart is formed by -
1. RA
2. LA
3. LV
4. RV

Correct answer: 2. LA

Explanation: Ans. is 'b>a' i.e., LA>RA Surfaces of the heart Anterior (sternocostal) surface :- Formed mostly by right ventricle (major) and right auricle and partly by left ventricle and left auricle. Inferior (diaphragmatic) surface :- It is formed by left ventricle (left 2/3) and right ventricle (right 1/3). It is traversed by posterior interventricular groove (PIV) containing PIV branch of RCA. Base (posterior surface) :- Formed mainly by left atrium and partly by right atrium. It is separated from T5 to T, vertebrae by pericardium, oblique pericardial sinus, esophagus and descending thoracic aorta. Right surface :- Mainly by right atrium. Left surface :- Mainly by left ventricle and partly by left auricle.